The clinical manifestation of canda equina lesion include the following except-
1. Urinary retention
2. Radicular pain
3. Saddle anasthesia
4. Extensor plantar reflexes

Correct answer: 4. Extensor plantar reflexes

Explanation: Cauda equina syndrome (CES) signifies an injury of multiple lumbosacral nerve roots within the spinal canal distal to the termination of the spinal cord at L1-2. Low back pain, weakness and areflexia in the legs, saddle anesthesia, or loss of bladder function may occur. The problem must be distinguished from disorders of the lower spinal cord (conus medullaris syndrome), acute transverse myelitis ,and Guillain-Barre syndrome Combined involvement of the conus medullaris and cauda equina can occur. CES is commonly due to a ruptured lumbosacral intervertebral disk, lumbosacral spine fracture, hematoma within the spinal canal (e.g., following lumbar puncture in patients with coagulopathy), compressive tumor, or other mass lesion. Treatment options include surgical decompression, sometimes urgently, in an attempt to restore or preserve motor or sphincter function, or radiotherapy for metastatic tumors. ref : Harrison's principles of internal medicine 20th edition,pg no.134